Which among the following anti-HIV drugs is also used to treat viral hepatitis B?
1. Enfuvirtide
2. Lamivudine
3. Efavirenz
4. Ritonavir

Correct answer: 2. Lamivudine